Distally, Gubernaculum attaches to all except:-
1. Pubic symphysis
2. Superficial perineal pouch
3. Anterior superior iliac spine
4. Inguinal ligament

Correct answer: 4. Inguinal ligament

Explanation: Gubernaculum is the fibro muscular band which helps in descent of testes. Proximally, it is attached to:- Lower pole of testis. Peritoneum of saccus vaginalis in front of testis. Mesonephric duct. Distally, it is attached to:- Bottom of scrotum. Superficial perineal pouch. Pubic symphysis above penis. Saphenous opening of thigh. Anterior superior iliac spine